The tissue of origin of the Kaposi's sarcoma is
1. Lymphoid
2. Vascular
3. Neural
4. Muscular

Correct answer: 2. Vascular

Explanation: Kaposi sarcoma (KS) is a vascular neoplasm caused by Kaposi sarcoma herpesvirus (KSHV, also known as human herpesvirus- 8, or HHV-8). Although it occurs in a number of contexts, it is by far most common in patients with AIDS; indeed, its presence is used as a criterion for the diagnosis. (Robbins basic pathology,9th edition,pg no.360)